Hydatid disease is caused by one of the following
1. Taenia solium
2. Hymenolepis diminuta
3. Echinococcus granulosus
4. Dipylidium caninum

Correct answer: 3. Echinococcus granulosus

Explanation: (C) Echinococcus granulosus # Echinococcus granulosus, the dog tapeworm or the hydatid worm (formerly called Taenia echinococcus), which has the dog as the definitive host and sheep and humans as the principal intermediate hosts.> In humans it causes unilocular echinococcosis or hydatid disease.